Which coenzyme is responsible for carboxylation reaction
1. Biotin
2. FAD
3. NADH
4. Thiamine pyrophosphate

Correct answer: 1. Biotin

Explanation: Biotin acts as coenzyme for carboxylases.